Ubiquitin is called so as:
1. Present in all eukaryotic cells
2. Takes part in important reactions
3. Is highly conserved
4. None of the above

Correct answer: 1. Present in all eukaryotic cells

Explanation: Ubiquitin, so named because it is present in all eukaryotic cells, is a small (8.5 kDa, 76 residues) polypeptide that targets many intracellular proteins for degradation. The primary structure of ubiquitin is highly conserved. Ref: Harper 28th edition, chapter 28.